Caspase involved in activation of IL_1 is which of the following?
1. Caspase 1
2. Caspase 3
3. Caspase 5
4. Caspase 8

Correct answer: 1. Caspase 1

Explanation: Pyroptosis :- Example of process in which injury is initiated because of exposure to microbes. Whenever there is exposure to microbes there is activation of enzyme caspase 1 and caspase 11. Caspase 1 convert inactive form of IL 1 to active form of IL1. As IL1 has central action, it enters CNS and results in development of fever. Caspase-1 along with closely related caspase-11 also cause death of the infected cell. -Caspase 3, a typical executioner caspase that cleaves DNA and other substrates to cause cell death.